All of the following statements are true regarding anterior axillary lymph nodes EXCEPT-
1. Present on anterior wall of axilla on pectoral muscle
2. Present along the lateral thoracic vein
3. Drains into central axillary lymph nodes
4. Drains the medial aspect of mammary gland

Correct answer: 4. Drains the medial aspect of mammary gland

Explanation: Anterior axillary / pectoral lymph nodes are present along the lateral thoracic vein on the anterior wall of axilla on pectoral muscle. These drains the lateral aspect of mammary gland. And finally drains into central axillary lymph nodes.